All of the following are true about Rifabutin except:
1. It has longer half life than Rifampicin
2. It is more effective for newly diagnosed TB as compared to Rifampicin
3. It has lesser incidence of drug interactions as compared to Rifampicin
4. It is more effective against MAC as compared to Rifampicin

Correct answer: 2. It is more effective for newly diagnosed TB as compared to Rifampicin

Explanation: Rifampicin is more effective in M.Tuberculosis.
Rifabutin is more effective in MAC